False about optic atrophy
1. Disc is chalky white in primary optic atrophy
2. Pallor of disc cannot be correlated with the amount of visual loss
3. Pallor of disc is due to atrophy of nerve fibres
4. All the above

Correct answer: 3. Pallor of disc is due to atrophy of nerve fibres

Explanation: Pallor of disc in optic atrophy is due to loss of vascularity.